A 24-year-old computer technician notes a progressive increase in the size of his left jaw. After x-rays are taken and a biopsy is done, a diagnosis of ameloblastoma is established. What should be the next step in management?
1. Radiotherapy
2. Laser beam therapy
3. Curettage and bone graft
4. Excision of lesions with 1-2 cm of normal mandible

Correct answer: 4. Excision of lesions with 1-2 cm of normal mandible

Explanation: Ameloblastoma is a benign tumor and usually occurs at the junction of the body and ramus of the mandible. Although it is a benign tumor, it recurs if inadequately excised. It is relatively radioresistant. Histologically, odontogenic epithelium is seen in connective tissue stroma with extensive areas of cystic degeneration.